Torniquet test is a function of
1. Platelet function
2. Capillary fragility
3. Intrinsic pathway
4. Extrinsic pathway

Correct answer: 2. Capillary fragility